As per the school health committee recommendation, medical examination of school children should be done every:
1. 1 year
2. 2 year
3. 3 year
4. 4 year

Correct answer: 4. 4 year

Explanation: Ans. D: 4 year As per the school health committee recommendation, medical examination of school children should be done at the time of admission and thereafter every 4 years.